The property common in amalgam and ceramic
1. Low compressive strength and high tensile strength
2. High compressive strength and low tensile strength
3. Equal compressive and tensile strength
4. High compressive and high tensile strength

Correct answer: 2. High compressive strength and low tensile strength